The peripheral blood smear of a patient shows features of thalassemia, also presented with anemia. Family history is also +ve. The investigation was done to establish the diagnosis is -
1. ESR estimation
2. Blood spherocyte estimation
3. Bone marrow aspiration
4. Hb-electrophoresis

Correct answer: 4. Hb-electrophoresis

Explanation: Hemoglobin electrophoresis should always be the first investigation to include/exclude the diagnosis of thalassemia.
The level of normal adult hemoglobin HbA is markedly decreased with proportionate increase in HbA2 and HbF.

X-ray findings in thalassemia
1. Crew cut appearance
2. Hair on end appearance